All of the following antiretroviral drugs produce dyslipidemia except:
1. Atazanavir
2. Saquinavir
3. Amprenavir
4. Nelfinavir

Correct answer: 1. Atazanavir

Explanation: Atazanavir:This PI is administerd along with light meal which improves absorption,while acid suppressant drugs decrease absorption.ATV is metabolised by CYP3A4,which is also moderately inhibited by it.Dyslipidemia and other metabolic complications are minimal,but jaundice occurs in some due to inhibition of hepatic glucoronyl transferase.